All of the following are true regarding after pains except
1. Most common in multiparous females
2. Pain worsens when infant suckles
3. Decreases in intensity by 7th day
4. They become more pronounced as parity increases

Correct answer: 3. Decreases in intensity by 7th day

Explanation: After pain: It is infrequent, spasmodic pain felt in the lower abdomen after delivery for a variable period of 2-4 days. Presence of blood clots or bits of after birth leads to hypertonic contractions of the uterus in an attempt to expel them out. For more information, refer page no 176 of Dutta's textbook of obstetrics, 8th edition.